Which is true about community health center -
1. It covers a population of one lakh
2. It has an 60 beds with specialities in surgery medicine and gynecology
3. Community health officer is selected with a minimum of 5 years exposure
4. New medical post of community health officer is created

Correct answer: 1. It covers a population of one lakh

Explanation: As in 31 st march 2014 5,363 community health centers were established by upgrading the primary health centers,each community health center covering a population of 80,000 to 1.20 lakh with 30 beds and specialist in surgery,medicine,obstetrics and gynecology and paediatrics with X-ray and laboratory facilities (refer pgno:907 park 23rd edition)